Daily dose of isoniazid in treatment of tuberculosis is
1. 5 mg/kg body weight
2. 10 mg/kg body weight
3. 20 mg/kg body weight
4. 15 mg/kg body weight

Correct answer: 1. 5 mg/kg body weight

Explanation: DAILY DOSES OF ANTITUBERCULAR DRUGS: DRUG DOSE (mg/kg) H 5 R 10 Z 25 E 15 S 15